Franklin's disease is associated with:
1. Gamma heavy chain disease
2. Multiple myeloma
3. Alpha heavy chain disease
4. Waldenstorm's macroglobulinemia

Correct answer: 1. Gamma heavy chain disease

Explanation: Answer is A (Gamma heavy chain disease): Franklin's disease is a gamma beau chain disease. Heavy chain diseases: Characterized by elevated levels of a specific heavy chain of immuno-globulins in blood or urine. Gamma chain Seen in elderly resemble lymphoma. Franklin's disease Alpha chain Saligmann's disease is the most common example imp chain Rarest form seen in patients with CLL